Tom smith's arthritis is due to -
1. Pyogenic infection in infancy
2. TB
3. RA
4. OA

Correct answer: 1. Pyogenic infection in infancy

Explanation: Ans. is 'a' i.e., Pyogenic infection in infancy Tom smith arthritis (septic arthritis of infancy)o Tom smith arthritis is the septic arthritis of hip joint, occurs in infancy. At this stage head of the femur is cartilaginous and is rapidly and completely destroyed by the pyogenic process. Onset is acute with abscess formation, which heals rapidly after spontaneous bursting outside or after incision and drainage. Quite often it is a delayed presentation and the child is brought for consultation when he begins to walk with a limp. On examination:-i) Limb is shortii) Hip movements are increased in all directions.iii) There is instability with positive telescoping.